The most common cause for failure of the seal in PPS area?
1. Under extension
2. Under post damming
3. Over post damming
4. Overextension

Correct answer: 1. Under extension